Twenty-four hours following partial thyroidectomy where the inferior thyroid artery was also ligated (tied off), the patient now spoke with a hoarse voice (whisper), and had difficulty in breathing. Which nerve was injured?
1. Internal branch of superior laryngeal
2. Ansa cervicalis
3. Ansa subclavia
4. Recurrent laryngeal

Correct answer: 4. Recurrent laryngeal

Explanation: The recurrent laryngeal nerve runs with the inferior thyroid artery toward the lower lobes of the thyroid, This means that the recurrent laryngeal nerve would be at risk in any surgery involving the inferior thyroid artery or the inferior poles of the thyroid. The recurrent laryngeal nerve becomes the inferior laryngeal nerve at the inferior border of cricopharyngeus, and this nerve continues on to innervate all the muscles of the larynx with the exception of cricothyroid. So, an injury to the recurrent laryngeal nerve might lead to hoarseness and difficulty breathing (due to a laryngeal spasm). .